Which of the tumours are of viral origin ?
1. Laryngeal papilloma
2. Naspharyngeal carcinoma
3. Lymphoma
4. All

Correct answer: 4. All

Explanation: Ans. is 'a' i.e., Laryngeal papilloma; 'b' i.e., Nasopharyngeal carcinoma; 'c' i.e., Lymphoma Important tumors of viral etiology Virus Tumor HPV Cervical, vulvar & penile cancers squamous cell carcinoma EBV Nasopharyngeal Ca. Burkitt's lymphoma HBV, HCV Hepatocellular Ca. HIV Kaposi sarcoma, Non-hodgkins lymphoma, SCC HTLV Adult T cell lukemia I-IHV-8 Kaposi sarcoma About option 'a' Laryngial papilloma is a benign tumor seen in children and infants. It is viral origin.